Odema occurs when plasma protein level is below?
1. 8 mg/dl
2. 2 mg/dl
3. 5 mg/dl
4. 10 mg/dl

Correct answer: 3. 5 mg/dl

Explanation: Ans. is 'c' i.e., 5 mg/dl